A major criterion to differentiate between true Angle's Class III and a pseudo Angle's Class III is
1. Degree of anterior cross bite
2. Presence of bilateral cross bite
3. Existence of a forward shift of the mandible during closure
4. Occlusal relationship between maxilla

Correct answer: 3. Existence of a forward shift of the mandible during closure